Which of the following region is involved in plummer-vinson syndrome-
1. Pyriform sinus
2. Post cricoid region
3. Valleculae
4. Posterior pharyngeal wall

Correct answer: 2. Post cricoid region

Explanation: It is associated with an oesophagal web in post cricoid region and 10% patients develops post cricoid carcinoma.